What is involved in the formation of d-TMP from d-UMP?
1. N5, N10-methylene tetrahydrofolate
2. Form imino folate
3. N5 formyl folate
4. Dihydro folate

Correct answer: 1. N5, N10-methylene tetrahydrofolate

Explanation: The following reaction is catalyzed by thymidylate synthetase:5,10-methylenetetrahydrofolate + dUMP = dihydrofolate + dTMPBy means of reductive methylation, deoxyuridine monophosphate (dUMP) and N5, N10-methylene tetrahydrofolate together used to form dTMP, yielding dihydrofolate as a secondary product.